Abducens supplies
1. Medical rectus
2. Lateral rectus
3. Inferior oblique
4. Superior oblique

Correct answer: 2. Lateral rectus

Explanation: *Abducent is the 6th cranial nerve *All the extraocular muscles are supplied by 3rd cranial nerve except lateral rectus and superior oblique *Lateral rectus by abducent nerve and superior oblique by trochlear nerve NOTE:MNEMONICS:LR6 & SO4 Ref: BDC 6th edition pg:208(3rd vol)